The most common cause of myopia is -
1. A-P diameter is increased
2. The thickness of lens is increased
3. The viscosity of squous humour is increased
4. The viscisity of vitous humour is increased

Correct answer: 1. A-P diameter is increased

Explanation: Axial type of simple myopia may signify just a physiological variation in the length of the eyeball or it may be associated with precocious neurological growth during childhood. other causes are : Curvatural type Role of diet Role of genetics Theory of excessive near work Reference : A K KHURANA OPHTALMOLOGY,Edition 4, Page-33